Ataxia telangiectasia is chracterised by all of the following except:
1. Chronic sinopulmonary disease
2. Decreased level of a-fetoprotein
3. Chromosomal breakage
4. IgA deficiency

Correct answer: 2. Decreased level of a-fetoprotein

Explanation: Increased levels of a fetoproteins is seen in ataxia telangiectasia. Ref: Harrison's Principles of Internal Medicine, 17th Edition O P Ghai Essential Pediatrics, 6th Edition